Ankylosis of TMJ can be best viewed in:
1. Lateral oblique view
2. Lateral view
3. Transcranial
4. PA view

Correct answer: 3. Transcranial